A 70 year old patient with history of smoking presents with gross painless
hematuria. Likely diagnosis is
1. Uerter stone
2. Ca. bladder
3. Ca. prostate
4. Bladder stone

Correct answer: 2. Ca. bladder

Explanation: History of smoking, old age and gross hematuria it is likely to be bladder Ca.